Posterior Cerebral artery is a branch of:
1. Internal carotid
2. External carotid
3. Subclavian
4. Basilar artery

Correct answer: 4. Basilar artery

Explanation: Basilar artery (Ref: B.D. Chaurasia, 3rd Ed, Vol lll/Pg 300) Basilar artery & its branches: The basilar artery is formed by the union of the right & left vertebral arteries, at the lower border of pons. It ascends in the midline, ventral to the pons & extends at its upper border by dividing into the right & the left Posterior cerebral arteries. It gives off the following branches: (a) Superior Cerebellar (b) Pontine (c) Labyrinthine (d) Anterior inferior Cerebellar